Which is not a test for testing of Disinfectants
1. Rideal walker test
2. Chick martin test
3. In - use test
4. Stokes test

Correct answer: 4. Stokes test

Explanation: Stokes testing is a antibiotic susceptibility test.